Remote after Loading is done is?
1. Stereotactic Radiotherapy
2. Proton Beam Radiotherapy
3. External Beam Radiotherapy
4. Brachytherapy

Correct answer: 4. Brachytherapy

Explanation: Remote afterloading is done in Brachytherapy in which the system automatically administer a radioisotope directly to cancerous tissue, thereby minimizing the radiation dose to surrounding tissue and eliminating the radiation exposure to hospital staff. In brachytherapy, a radioisotope is placed onto or inside the patient. The source of radiation is put inside a sealed capsule ,which prevents it from moving or dissolving in body fluids but allows the emission of ionising radiation to the surrounding tissues.